A 45-year-old male is treated at the hospital after he fell from his bicycle. Radiographic examination reveals fractures both of the tibia and the fibula. On physical examination the patient has a foot drop, but normal eversion. Which of the following nerves is most likely injured?,
1. Tibial
2. Common fibular
3. Superficial fibular
4. Deep fibular

Correct answer: 4. Deep fibular

Explanation: The deep fibular (peroneal) nerve is responsible for innervating the muscles of the anterior compartment of the leg, which are responsible for toe extension, foot dorsiflexion, and inversion. Injury to this nerve will result in foot drop and also loss of sensation between the first and second toes. Injury to the tibial nerve affects the posterior compartment muscles of the leg, which are responsible for plantar flexion and toe flexion, as well as the intrinsic muscles of the sole of the foot. The superficial fibular (peroneal) nerve innervates the fibularis longus and brevis muscles, which provide eversion of the foot. If the common fibular (peroneal) nerve were injured, eversion of the foot and plantar flexion would be lost in addition to dorsiflexion and inversion.